A 36-year-old female with symptoms of hyperparathyroidism, tumor in the pancreas, adrenal cortical hyperplasia, pituitary adenomas, islet cell tumor with cutaneous angiofibroinas. What is the diagnosis?
1. MEN I
2. MEN 2 A
3. MEN 2 B
4. MEN 2 C

Correct answer: 1. MEN I

Explanation: MEN1syndrome
Consist of characteristic triad of (3P)

Pituitary tumour
Parathyroid tumour
Pancreatic islet cell tumours